Most common bladder tumor is
1. TCC
2. SCC
3. Adenocarcinoma
4. STS

Correct answer: 1. TCC

Explanation: TCC is most common cancer of bladder.